Non absorbtion of fat soluble vitamins is due to?
1. Steatorrhea
2. Pancreatic insufficiency
3. Both
4. None

Correct answer: 3. Both

Explanation: ANSWER: (C) BothREF: Harrison 17th ed chapter 71Fat soluble vitamins are not absorbed properly in fat malabsorption. Pancreatic insufficiency leads to fat malabsorption. Therefore both the conditions will lead to non absorption of fat soluble vitamins